Most common cause of lower respiratory tract infection in 3 year old child is
1. Klebsella
2. H-influenza
3. Streptococcal pneumonia
4. Staphe aureus

Correct answer: 3. Streptococcal pneumonia

Explanation: Ans. is 'c' i.e., Streptococcal pneumonia